TMJ is lined by:
1. Hyaline cartilage
2. Fibrocartilage.
3. Both.
4. None.

Correct answer: 2. Fibrocartilage.

Explanation: Usually joints are lined by hyaline cartilage but TMJ is lined by fibrocartilage.